Which of the following is not an ionizing radiation:
1. Mammography
2. MRI
3. Angiography
4. CT

Correct answer: 2. MRI

Explanation: Ans. B. MRIMammography* It is an imaging technique exclusive for the breast.* Mainly uses characteristic spectrum radiation originating from a molybdenum anode.* It is generally done in females above 35 years of age.MRI* Most commonly used magnet in MRI: Superconducting magnets.* Stronger the magnet better the image resolution.* MRI has no radiation exposure as X-rays are not involved.Angiography* With the advent of cross-sectional modalities it is not used often.* It can be used in some cases where vascular flow and other dynamic components are to be evaluated.CTComputed tomography is basically a fusion of two technologies:* Tomography: X-ray based imaging technique developed to acquire sectional image of the body.* Computers: Brought in to deal with the complex mathematical algorithms and iterations in the image reconstruction.As X-rays are used in this technique, there may be a chance of radiation.